A dead body is found to have mark like "branching of tree in front of chest. The most likely cause of death is
1. Firearm
2. Injuries due to bomb blast
3. Lightning
4. Road traffic accident

Correct answer: 3. Lightning

Explanation: Burns from lightning may appear in the form of 'arborescent markings' on the surface of the skin, looking like branches of a tree.Ref: Textbook of Forensic Medicine and Toxicology; 5th ed; Page no: 161